Carotene is not found in high amounts in -
1. Tomato
2. Cabbage
3. Potato
4. Spinach

Correct answer: 3. Potato

Explanation: The cheapest source is green leafy vegetable such as spinach and amaranth. Vitamin A also occur in most green and yellow fruits and vegetables. REF. PARK'S TEXTBOOK OF PREVENTIVE AND SOCIAL MEDICINE 21ST EDITION. PAGE NO - 615